What is the thermal death point?
1. Lowest temperature that kills all microbes in 10 min
2. Highest temperature that kills all microbes in 1 min
3. Temperature that kills 1% of a microbial population
4. Optimum temperature required to kill 50% of a microbial population

Correct answer: 1. Lowest temperature that kills all microbes in 10 min

Explanation: Thermal death point or temperature- is the temperature at which an organism is killed in 10 minutes. Thermal death time- Time required to kill all cells at a given temperature in a specified environment. Decimal death time - The time required to kill 90% of cells at a particular temperature